Most potent form of Cannabis indica?
1. Charas
2. Ganja
3. Majoon
4. Bhang

Correct answer: 1. Charas

Explanation: Ans. A. Charas. (Ref. FMT by Dr KS Narayan Reddy 29th/pg. 543).Cannabis indica or sativa (CNS STIMULANT)- "Indian Hemp".# It is a psychoactive drug.# All parts of plant contain active principle except stem, root, and seeds.# The principle constituient of the resin are cannabinol, which has no action, cannabidiol is also inert, but on exposure to heat it is partly converted to THC.# The primary active principle of Cannabis is Tetra-hydro-cannabinol (THC).6# It is used in following forms:- (1). Siddhi or Bhang or sabji-- from dried leaves and fruit shoots.- Mildest and contain 15% of active principle.- Fatal dose: 10g/kg.6- (2). Majoon -- sweet prepared with Bhang.- Increases appetite and sex desire.- (3). Ganja (marihuana)-- from flower tops of the female plant.- contain 15-25% of active principle.- Used for smoking in cigarettes, which contain 0.3-0.6 g cannabis and are known as Reefer/joint.- Fatal dose: 8 g/kg 6- (4). Charas or Hashish-- It is the resin (dope or shit).- Contains 25 - 40 % of the active principle.6- Fatal dose: 2 g/kg 6# Fatal dose:- THC 30 mg/kg.# Intoxication:- Feeling of detachment, clarity, cleverness, disinhibition, depersonalisation, euphoria, elation, relaxation, well- being, dreaminess, sleepiness, jocularity, laughing, rapidly changing emotions.- Irrelevant though processes.- Sensory novelty and increased,awareness of stimuli.- Speech changes.- "Bad trip": due to distortion of perception, the users feel that they could fly from high windows or stop passing buses with bare hands.- Increased appetite and thurst, tachycardia, restlessness, dry mouth, urinary frequency, injected conjunctiva.# Rx:- Stomach wash or emesis.- 100 ml of 50% glucose, 2 mg naloxone, and 100 mg thiamine i.v.- 5-10 mg diazepam if violent.- If flashbacks occur give anti-anxiety and if required anti-psychotic like haloperidol.# Chronic poisoning:- In chronic Cases the patient may run amok i.e he develops a psychic disturbance marked by a period of depression, followed by violent attempts to kill persons (impulse to murder). In the end he may kill himself or surrender voluntarilyAdditional Educational points: Q.Ans.1Cannabis is chronic users leads to"Run Amok"2Cocaine leads toFormication/Magnan's symptoms or Cocaine Bugs.3Speed ball isCombination of cocaine & heroin.4Rave drug'Ecstasy (Methylenedioxymthamphetamine/ MDMA).5"Road poison"Dhatura (delirient poison).6Cardiac PoisonsNicotine, digitalis, oleander, quinine, aconite (mitha zeher) and Cyanide.7Strychnine is an example ofSpinal Poison.89Ergotism is called asMnemonic for Atropine toxicity featuresSt.Anthony's Fire - burning pain in limbs.# Hot as a Hare# Blind as a bat# Dry as a bone# Red as a beet# Mad as a Hen.